Which of the following conditions is diagnosed using Cozen's test?
1. Little leaguer's elbow
2. Tennis elbow
3. Golfer's elbow
4. Frozen shoulder

Correct answer: 2. Tennis elbow

Explanation: Cozen's test - In this test active extension of wrist against resistance produces pain at the point of common extensor origin. It is considered a positive finding for lateral epicondylitis or Tennis elbow.